IL -1 produces -
1. T lymphocyte activation
2. Delayed wound healing
3. Increased pain perception
4. Decreased PMN release from bone marrow

Correct answer: 1. T lymphocyte activation

Explanation: Ans. is 'a' i.e., T-Iymphocyte activation . Also known as leucocyte activating factor (LAF) or B cell activating factor (BAF). . Principally secreted by macrophages and monocytes; and epithelial cells. . Other sources are B lymphocytes, fibroblasts and endothelial cells. . Immunological effects? - Activation of T cells for the production of IL - 2. - B cell proliferation and antibody synthesis - Neutrophil chemotaxis and increased PMN release from bone marrow. - Increases body temperature (important endogenous pyrogen). - Bone marrow cell proliferation - Induction of acute phase protein.